Cidex is
1. Gluteraldehyde
2. Alcohol
3. A phenolic compound
4. A caustic agent

Correct answer: 1. Gluteraldehyde